Acid etching was given by
1. Michael bunocore.
2. Barnum
3. Heywood
4. Heyman

Correct answer: 1. Michael bunocore.